Corneal endothelium was seen by
1. Pachymeter
2. Keratometer
3. Tonometer
4. Slit lamp bio-microscope

Correct answer: 4. Slit lamp bio-microscope

Explanation: (Refer: AK Khurana Comprehensive Ophthalmology, 6th edition, pg no. 95 - 96)Corneal endothelium:It consists of single layer of polygonal (mainly hexagonal cells)They are visualized by slit lamp bio-microscope and appear like a mosaicThe cell density is 30000 cells/mm2 in young adults and decreases with ageThese cells contain active pump mechanism